A female with 20 weeks pregnancy presents with fever and dysuria. A preliminary diagnosis of cystitis was made. Which of the following drugs will be safe to use for this patient?
1. Ciprofloxacin
2. Gentamicin
3. Cotrimoxazole
4. Amoxicillin

Correct answer: 4. Amoxicillin

Explanation: Antibiotics safe in pregnancy P - Penicillin C - Cephalosporin M - Macrolides Ciprofloxacin causes cartilage and bone destruction Gentamycin causes hearing loss in fetus Cotrimoxazole contains sulfonamides which can cause kernicterus in the child